The treatment of choice for mucocele of gallbladder is:
1. Aspiration of mucus
2. Cholecystectomy
3. Cholecystostomy
4. Antibiotic and observation

Correct answer: 2. Cholecystectomy

Explanation: Mucocele of gallbladder is one of the complication of gallstones and is caused due to obstruction of the stone at the neck of the bladder. In course of time the bile is absorbed and replaced by the mucous secreted by the gallbladder epithelium. Due to this gall bladder may become distended and palpable. Cholecystectomy is done early otherwise complications like empyema, perforation and gangrene of gallbladder can occur. Ref: Bailey & Love 24/e, Page 1106; Harrison 17/e, Page 1996.